Which anaesthetic modality is to be avoided in sickle cell disease
1. General anaesthesia
2. Brachial plexus block
3. I.V. Regional Anaesthesia
4. Spinal

Correct answer: 3. I.V. Regional Anaesthesia

Explanation: C i.e. I.V. Regional Anaesthesia